Which of the following is feature of reticulocyte?
1. Constitute 10% of the red cells
2. No nucleus
3. Smaller in the size than RBCs
4. Mature in lymph nodes

Correct answer: 2. No nucleus

Explanation: Reticulocytes are non-nucleated spherical cells bigger than normal RBCs and are polychromatic (having a blue color) d/t the presence of free ribosomes & RNA. They are identified with supravital staining. Best stain to identify them is new methylene blue.